Organism most frequently associated with urinary
tract infections is
1. Neisseria gonorrhea
2. Escherichia coli
3. T-strain mycoplasma
4. Streptococcus fecalis

Correct answer: 2. Escherichia coli